A client with acquired immunodeficiency syndrome is prescribed with Zidovudine (Azidothymidine). Which of the following laboratory results should the nurse monitor while on this medication?
1. Throat swab gram stain.
2. Complete blood count.
3. Random blood sugar.
4. Blood uric acid.

Correct answer: 2. Complete blood count.

Explanation: Zidovudine may decrease the number of a certain type of white blood cell in the blood and cause anemia and muscle disorders.

Options A, C, and D are not related to the medication.